Partogram in pregnancy includes all of the following except -
1. Uterine contraction
2. Cervical dilatation in time scale
3. Descent of foetal head in time scale
4. Non-stress Test

Correct answer: 4. Non-stress Test